True statement about great sphenous vein
1. It begins at lateral end of dorsal venous arch
2. It runs anterior to medial malleolus
3. It is accomponied by sural nerve
4. Terminates into popliteal vein

Correct answer: 2. It runs anterior to medial malleolus

Explanation: Ansis 'b' i.e., It runs anteiror to medial malleolus